In right lateral rectus palsy, head is turned to ?
1. Right
2. Left
3. Up
4. Down

Correct answer: 1. Right

Explanation: Ans. is 'a' i.e., Right In paralysis of an extraocular muscle head is turned towards the direction of the muscles as the action of muscle is lost and the patient tries to compensate by turning the head in the direction of the action of the paralysed muscle. In this question, right lateral muscle is paralysed, therefore the head will be turned towards right as abduction of right eye is not possible Muscle paralysed Deviation of eye Maximum diplopia while looking Head position Left lateral rectus Right sided (nasally) Left lateral gaze Turned to left (Esotropia) Left medial rectus Left side (laterally) Right lateral gaze Turned to right (Exotropia) Left superior oblique Supero-laterally (left side) (Hypertropia) Right (nasal) and inferior to left eye Tilted to the left and turned to the right Left inferior oblique Infero-laterally (left side) (Hypotropia) Right (nasal) and superior to left eye Tilted to the right and turned to the right Left superior rectus infero-medially (Hypotropia) Left (temporal) and superior to left eye Tilted to the right and turned to the left Left inferior rectus Supero-medially (hypertropia) Right (nasal) and superior to left eye Tilted to the left and turned to the left Note :- Right sided muscle parlysis will have opposite effect.